Which of the following is the immediate treatment for a neonate with vaginal bleeding?
1. Wait and watch
2. Estrogen
3. Progesterone
4. Cryoprecipitate

Correct answer: 1. Wait and watch

Explanation: Neonatal vaginal bleeding is caused by maternal hormone exposure during pregnancy. These maternal hormones are abruptly withdrawn at the time of birth. It is entirely normal and presents soon after birth as a 'mini period' in females. It will resolve, usually lasting less than a day, and is painless. Parental reassurance and routine pediatric follow-up is all that is required. Ref: A Practical Guide to Pediatric Emergency Medicine by N. Ewen Amieva-Wang, 2011, Page 333 ; Shaw, 13th ed, Page 48